Triple therapy in Rheumatoid Arthritis involves all except
1. Methotrexate
2. Hydroxychloroquine
3. Steroids
4. Sulphasalazine

Correct answer: 3. Steroids

Explanation: Methotrexate is the DMARD of the first choice for initial treatment of moderate to severe RA. Failure to achieve adequate improvement with methotrexate therapy calls for a change in DMARD therapy, usually transition to an effective combination regimen. Effective combinations include methotrexate, sulfasalazine, and hydroxychloroquine (oral triple therapy); methotrexate and leflunomide; and methotrexate plus a biological.Reference: Harrison's Principles of Internal Medicine; 19th edition; Chapter 380; Rheumatoid arthritis